All are contents of the Femoral traingle except
1. Femoral nerve
2. Femoral vein
3. Superficial inguinal lymphatics
4. Nerve to pectineus

Correct answer: 3. Superficial inguinal lymphatics

Explanation: Femoral triangle : Lateral - Sartorius Medial - Adductor longus Base - Inguinal ligament Contents - Femoral nerve, Femoral artery, Femoral vein,deep inguinal lymphatics, nerve to pectineus. Ref : Gray's Anatomy The Anatomical Basics of Clinical Practice 41 e pg 1362.